Not true regarding pterygopalatine fossa:
1. Inferomedial to the foramen rotundum lies the Vidian (Pterygoid) canal, which connects the foramen lacerum to the pterygopalatine fossa.
2. Medially, the pterygopalatine fossa communicates through the pterygomaxillary fissure with the infratemporal fossa
3. It communicates with the middle cranial cavity through the foramen rotundum and pterygoid canal.
4. It contains the sphenopalatine ganglion and the third segment of the maxillary artery.

Correct answer: 2. Medially, the pterygopalatine fossa communicates through the pterygomaxillary fissure with the infratemporal fossa

Explanation: The pterygopalatine fossa is situated between the posterior wall of the maxillary antrum and the pterygoidplates. Its medial margin is the perpendicular plate of the palatine bone; this is perforated by, the sphenopalatine foramen, which connects the fossa with the nasal cavity. Laterally, the pterygopalatine fossa communicates through the pterygomaxillary fissure with the infratemporal fossa. The pterygopalatine fossa also communicates with the middle cranial cavity through the foramen rotundum and pterygoid canal, the orbit through the inferior orbital fissure, and the oral cavity through the pterygopalatine canal. The fossa contains the sphenopalatine ganglion and the third, or pterygopalatine, segment of the maxillary artery.